A pt. presents with swelling in the neck following a thyroidectomy; what is the most likely resulting complication -
1. Resp. obstruction
2. Recurrent laryngeal nerve palsy
3. Hypovolumia
4. Hypocalcemia

Correct answer: 1. Resp. obstruction